Which of the following is called "flipping effect"?
1. LDH 1 >LDH 2
2. LDH 2 > LDH 1
3. LDH 2 > LDH 3
4. LDH 3 > LDH 2

Correct answer: 1. LDH 1 >LDH 2

Explanation: Option A = LDH 1>LDH 2 In Normal person, LDH2>LDH1 LDH 1 is present in cardiac Myocyte. If MI occurs, LDH1 levels | Lactate dehydrogenase (LDH): Tetrameric enzyme formed by combination of 2 subunits: H (Heart) and M (Muscle): Type Subunit Tissues of origin LDH-1 H4 Heart muscle LDH-2 H3M1 RBCs LDH-3 H2M2 lungs LDH-4 H1M3 Liver LDH5 M4 Muscles